Buprenorphine is partial agonist of
1. Mu (u) receptor
2. Delta (d) receptor
3. Kappa (k) receptor
4. Sigma (s) receptor

Correct answer: 1. Mu (u) receptor

Explanation: Ans. is 'a' i.e., Mu (m) receptor BuprenorphineReceptor p(mu) - Partial agonistK (kappa) - Antagonist (moderate) d (delta) - Also know -Buprenorphine produces ceiling effect